A 47yrs old female c/o headache, changes in vision, seizures from past 2yrs. Now she has developed weakness . side of body. A CT scan was being ordered by the physician which showed well circumscribed mass abutting the skull in left hemisphere. On contrast enhanced MRI shows -. What is the next step in management of this patient?
1. Surgical excision
2. Chemotherapy with Adriamycin
3. Cerebral angiography with tumor embolization
4. Preoperative radiation therapy followed by surgical excision

Correct answer: 1. Surgical excision

Explanation: Most likely diagnosis in this patient is meningioma (CECT finding & findings points towards it) it is a slow growing tumor arising from arachnoid layer. predominately occurs in females peak incidence around 45yrs primary treatment of meningioma includes - surgical excision (with radiation therapy - if complete resection is not possible) 11 -15% recurrence is there, even after gross total resection.